Acrosome cap of sperm is derived from ?
1. Golgi body
2. Mitochondria
3. Nucleus
4. Centromere

Correct answer: 1. Golgi body

Explanation: Ans. is 'a' i.e., Golgi body Formation of acrosome starts with the coalescence of a series of granules from the Golgi complex, which migrates to come into contact with nuclear membrane, where it covers like a cap-like structure overt 30% to 50% of nuclear surface. The acrosome covers the nucleus and contains the hydrolytic enzymes necessary for fertilization. `The head also contains the acrosome, which is a cap-like structure represented by golgi complex and covers about two thirds of anterior head area' Clinical reproductive medicine.